A 55-years-old lady presenting to out patient department (OPD) with postcoital bleeding for 3 months has a 1 x 1 cm nodule on the anterior lip of cervix. The most appropriate investigation to be done subsequently is:
1. Pap smear
2. Punch biopsy
3. Endocervical curettage
4. Colposcopy

Correct answer: 2. Punch biopsy